A 24 week pregnant female developed gestational diabetes. Which of the following is the MOST characteristic congenital anomaly of diabetic pregnancy?
1. ASD
2. Caudal regression
3. Macrocephaly
4. Twin pregnancy

Correct answer: 2. Caudal regression

Explanation: The commonest congenital anomalies seen in infants of diabetic mothers are cardiac anomalies, neural tube defects, and genitourinary abnormalities. Caudal regression is most characteristic. Other congenital malformations: Anencephaly Spina bifida, hydrocephalus, or other central nervous system defects Cardiac anomalies Transposition of great vessels Ventricular septal defect Atrial septal defect Anal/rectal atresia Renal anomalies Agenesis Cystic kidney Ureter duplex Situs inversus Ref: German M.S. (2011). Chapter 17. Pancreatic Hormones and Diabetes Mellitus. In D.G. Gardner, D. Shoback (Eds), Greenspan's Basic & Clinical Endocrinology, 9e.